Radiologic feature suggestive of Achalasia cardia is-
1. Absence of gastric air bubble
2. Air fluid level in mediastinum
3. Sigmoid ecophagus
4. All of the above

Correct answer: 4. All of the above